Characteristic skin lesion in Peutz-Jeghers syndrome is
1. Freckles
2. Lentigines
3. Cafe au lait spots
4. Adenoma sebaceum

Correct answer: 2. Lentigines

Explanation: Lentigines in patients with Peutz-Jeghers syndrome are located primarily around the nose and mouth, on the hands and feet, and within the oral cavity. Ref - Harrison 20thedition pg 223t , 573t